Following cartilage are derivative fo Second arch except
1. Smaller cornu of hyoid
2. Greater cornu of hyoid
3. Styloid process
4. Stylohyoid ligament

Correct answer: 2. Greater cornu of hyoid

Explanation: Human embryology Tenth edition Inderbir Singh's Pg 132 The cartilage of the second arch forms the following: Stapes Styloid process Stylohyoid ligament Smaller cornu of hyoid bone Superior part of body of hyoid bone The following structures are derived from cartilage of third arch Greater cornu of hyoid bone Lower part of body of hyoid bone